Causes of iron deficiency anemia are-a) CRFb) Young malec) Celiac sprued) Hook worme) Carcinoma cecum
1. bce
2. acde
3. abcd
4. abde

Correct answer: 2. acde